Placenta previa mouth is associated with all of the following except :
1. Large placenta
2. Previous C. S. scar
3. Primigravida
4. Previous placenta previa

Correct answer: 3. Primigravida

Explanation: Ans. is c i.e Primigravida Placenta previa is implantation of the placenta partially or completely over the lower uterine segment. Damage to the endometrium or myometrium due to previous surgery or infection can predispose to low implantation and placenta previa. Risk factors for placenta previa : Prior surgerydeg (cesarean section / Myomectomy Hysterotomy) Previous uterine curettagedeg Endometritisdeg Increasing maternal age (>35 years)deg Increasing paritydeg Placental sire -increased (as in multiple pregnancy) Placental abnormality -Succenturiate lobe Smoking (due to defective decidual vascularisation) Note : The probability of placenta accreta and need for cesarean hysterectomy is increased in patients with prior cesarean section and placenta previa. Smoking increases the risk of placenta previa by two fold times. Previous cesarean section increases the risk of placenta previa by 4 fold time. According to the latest edition of Williams--Women with otherwise unexplained elevated screening level of maternal serum alpha feto protein are at a greater risk of placenta previa.